Gallstones may be complicated by which among the following -
1. Pancreatitis
2. Choledocholithiasis
3. Acute cholecystitis
4. All

Correct answer: 4. All

Explanation: Answer 'a' i.e. Pancreatitis; 'b' i.e. Choledocholithiasis; 'c' i.e. Acute cholecystitis